Binder in Phosphate bonded investment is
1. Magnesium oxide & Phosphate
2. Magnesium oxide & Phosphoric acid
3. Magnesium oxide & Monoammonium phosphate
4. Magnesium oxide & Ortho Phosphoric acid

Correct answer: 3. Magnesium oxide & Monoammonium phosphate